All of the following are true about the Herd Immunity for infectious diseases except :
1. It refers to group protection beyond what is afforded by the protection of immunized individuals
2. It is likely to be more for infections that do not have a sub-clinical phase
3. It is affected by the presence and distribution of alternative animal hosts
4. In the case of tetanus it does not protect the individual

Correct answer: 2. It is likely to be more for infections that do not have a sub-clinical phase

Explanation: Occurrence of clinical and subclinical infection in a community is responsible for herd immunity. Herd immunity is more for infections that have a subclinical phase. Ref: Park's Textbook Of Preventive And Social Medicine By K. Park, 19th Edition, Page 96; Park's Textbook Of Preventive And Social Medicine By K. Park, 18th Edition, Page 95